The forces that hold atoms together are called
1. Primary forces
2. Secondary forces
3. Cohesive forces
4. Ionic forces

Correct answer: 3. Cohesive forces